Diplopia after fracture results from entrapment of
1. Inferior rectus
2. Inferior oblique
3. Lateral rectus
4. Superior oblique

Correct answer: 1. Inferior rectus